Singular nerve is a
1. Superior vestibular nerve supplying posterior semicircular canal
2. Inferior vestibular nerve supplying posterior semicircular canal
3. Superior vestibular nerve supplying anterior semicircular canal
4. Interior vestibular nerve supplying anterior semicircular canal

Correct answer: 2. Inferior vestibular nerve supplying posterior semicircular canal

Explanation: A small subdivision of the vestibular nerve that carries information from the posterior semicircular canal to the brain. Singular neurectomy is a surgical procedure to divide the singular nerve, occasionally used in the treatment of benign paroxysmal positional vertigo. Ref-Dhingraa textbook for ENT 6th edition.